As per ISO, color of N2O cylinder is –
1. Blue
2. Black
3. White
4. Red

Correct answer: 1. Blue

Explanation: Color code of N2O cylinder is blue.